A 23-yeard-old college student has asympt-omatic and hyperpigmented macules on both palms for three weeks. The most appropriate diagnostic test is:
1. Veneral Diseases research Laboratory (VDRL) test
2. Skin biopsy
3. Serum coigol levels
4. Assay for arsenic in skin, hair & nails

Correct answer: 1. Veneral Diseases research Laboratory (VDRL) test

Explanation: A i.e. Veneral Disease Laboratory (VDRL) Estimation of cortisol levels are not indicated as only skin lesions without other symptoms is disfavouring adrenal pathology. Assay of arsenic is not required as arsenic poisoining will always present with systemic symptoms. Skin biopsy is not indicated as only presentation is hyperpigrnented macules. So the answer is straight forward - As secondary syphilis usually presents with B/L symmetrical So the answer is straight forward - As secondary syphilis usually presents with B/L symmetrical